Relative to a heterogenous population, the incidence of malocclusion in a homogenous population generally is:
1. Lower
2. Slightly higher
3. Significantly higher
4. About the same

Correct answer: 1. Lower